Spider leg appearence is seen in:
1. Adult polycystic kidney disease
2. Wilm's Tumor
3. Horse shoe kidney
4. Vesicoureteral reflux

Correct answer: 1. Adult polycystic kidney disease

Explanation: Ans: A (Adult polycystic kidney disease) Ref: Harrison's online. 18th ed.Explanation:Some important features in Contrast RadiographsSpider leg appearance -- Polycystic kidneyCobra head appearance -- UreteroceleFlower vase appearance of ureters -- Horse shoe kidnexSandy patches -- Schistosomiasis of bladderSoap bubble appearance -- HydronephrosisApple core lesion on barium -- Ca colonClaw appearance on barium enema -- IntussusceptionSaw tooth appearance -- Diverticula of colonBirds beak appearance of esophagus on barium meal -- AchalasiaCork screw appearance of esophagus on barium meal -- Diffuse esophageal spasmString sign of kantor-- Crohn's disseaseThumb printing sign -- Ischemic colitisEGG SHELL CALCIFICATION -- Silicosis. Sarcoidosis. Scleroderma. Histoplasmosis, Amyloidosis, lymphoma following radiotherapy